Which of the following is a tumor marker ?
1. Acid hydrolase
2. Alkaline phosphatase
3. Melatonin
4. CPK-MB

Correct answer: 2. Alkaline phosphatase

Explanation: Ans. is 'b' i.e., Alkaline phosphatase Placental alkaline plosphatase is marker of seminoma. But specificity is very low.